The SGLT-1 cotransporter is present in GIT and it transports :
1. 1 Na+ : 1 glucose
2. 2 Na+ : 1 glucose
3. 1 Na+ : 2 glucose
4. 3 Na+: 2 glucose

Correct answer: 2. 2 Na+ : 1 glucose

Explanation: Glucose enters the cells lining the G.I. tract by the process of secondary active transport. The transporter is SGLT-1 (sodium-glucose linked transporter). SGLT-1 transports 2 Na+ : 1 glucose into the cells of the digestive tract (Symport /co-transport). Defect of SGLT-1 results in 'Glucose-Galactose malabsorption'.